Bilateral hilar lymphadenopathy with non caseating granuloma is seen in ?
1. TB
2. Lymphoma
3. Sarcoidosis
4. All of the above

Correct answer: 3. Sarcoidosis

Explanation: Ans. is 'c' i.e., Sarcoidosis